Which one of the following is not a feature of type I renal tubular acidosis?
1. Lower tubule re-absorption of calcium
2. Defective bicarbonate absorption in distal tubule
3. Low serum potassium level
4. Increased anion gap

Correct answer: 4. Increased anion gap

Explanation: Mutations in CA2 and TCIRG1 result in osteopetrosis (in which bones are hard but brittle) and renal tubular acidosis. Ref: Robbins basic pathology 9th edition pg no: 801 Nephrocalcinosis is a diffuse deposition of calcium salts in renal tissue in a number of renal diseases, in hypercalcemia, hyperphosphataemia and renal tubular acidosis Ref: Textbook of pathology Harsh Mohan 6th edition page 684.